Of the Following, most favorable breech presentation is
1. Extended breech
2. Complete breech
3. Footling
4. Extended Head

Correct answer: 1. Extended breech

Explanation: Most favorable breech presentation is Extended / Frank breech as it has least risk of cord prolapse among all the breech types. Risk of Cord prolapse in Breech - Footling breech > Complete breech > Frank breech